Flap commonly used in breast reconstruction is?
1. Serratus anterior
2. TRAM
3. Flap from arm
4. Delto pectoral flap

Correct answer: 2. TRAM

Explanation: Ans. is 'b' i.e. TRAM